HbA2 concentration in thalassemia trait is -
1. 1
2. 1-2.5
3. 2.5-3.5
4. >3.5

Correct answer: 4. >3.5